Turkish Sword appearance is a Radiological finding of
1. Pleuro-pericardial cyst
2. Congenital Veno-Lobar Syndrome
3. Small VSD
4. Endomyocardial fibrosis

Correct answer: 2. Congenital Veno-Lobar Syndrome

Explanation: There is an anamalous vessel resembling turkish sword in congenital veno-Lobar syndrome.